True about fovea centralis:
1. Cones present
2. Visual acquity lowest
3. Optic nerve passes
4. Rods present

Correct answer: 1. Cones present

Explanation: Ans. Cones present